Investigation of choice for studying vesico-ureteric reflux is?
1. Ascending pyelogram
2. Cystogram
3. Intravenous urogram
4. Micturition cystourethrogram

Correct answer: 4. Micturition cystourethrogram

Explanation: ANSWER: (D) Micturition cystourethrogramREF: Sutton 7th ed page 898-899Repeat Radiodiagnosis Post diploma June 2012See details of posterior urethral valve in Radiology 2013 Session 1Also See PLATE R-42 PLATE R-42 KEYSmall bowel obstruction:Dilated small bowel: (double headed arrow) Small bowel with a diameter greater than 30mm is considered to be dilated. Small bowel can dilate up to around 50mm. If the small bowel has a diameter of 70mm orgreater it probably isn't small bowel.The 3.6.9 Rule: The maximum diameter of the bowel is shown below Maximum Normal DiameterSmall bowel30 mmLarge bowel50-60 mmCaecum90 mmStep ladder pattern: (Blue arrows) The appearance of multiple air-fluid levels on erect abdominal film is sometimes referred to as a step ladder sign. It has also been suggested that uneven levels in a bowel loop (i.e. more fluid on one side of the loop than the other) is diagnostic of SBO rather than ileus.Stretch/slit sign: Slit sign is a result of small amounts of air caught in the valvulae of fluid-filled bowel.String of pearls/ beads sign: (white arrow) The appearance is considered to be diagnostic of obstruction (as opposed to ileus) and is caused by small bubbles of air trapped in the valvulae of the small bowel. A similar appearance is sometimes seen in the large bowel but can usually be differentiated by the fact that the gas bubbles are largerCoiled spring sign: (red circle) The coiled spring appearance only occurs in the dilated air-filled small bowel. It also is most noticeable in the jejunum where the valvulae conniventes are closely spaced.